Which of the following tumors has got the best prognosis?
1. Cerebellar pilocytic astrocytoma
2. Grade IV astrocytoma
3. Medulloblastoma
4. Ependymoma

Correct answer: 1. Cerebellar pilocytic astrocytoma

Explanation: Cerebellar pilocytic astrocytoma is Grade - I astrocytoma and is associated with best prognosis. Grade - IV astrocytoma is Glioblastoma multiforme and has worst prognosis. Grade - II astrocytoma is low-grade (fibrillary) astrocytoma, mixed oligoastrocytoma. They are relatively slow growing astrocytomas. These patients have 5 yr survival rate of 34% without treatment and 70% with radiation therapy. Grade - III astrocytoma is anaplastic astrocytoma. These patients often related to seizures, neurologic deficits, headaches, or changes in mental status. Individuals with grade 3 astrocytoma have a median survival time of 18 months with treatment (radiation and chemotherapy).